Presence of infectious agent on clothes or dressings is termed -
1. Infection
2. Infestation
3. Contamination
4. Contagion

Correct answer: 3. Contamination

Explanation: Ans. is 'c' i.e., Contamination Infection The entry and development or multiplication of an infectious agent in the body of man or animals. Contamination o The presence of an infectious agent on a body surface, and or in clothes, bedding, toys, surgical instruments, dressing or other inanimate articles or substances including water, milk and food. Infestation o The lodgment, development and reproduction of arthropods on the surface of the body or in the clothing, e.g. lice.